Which of the following is the number of national helpline for HIV/AIDS?
1. 1081
2. 1091
3. 1097
4. 1100

Correct answer: 3. 1097

Explanation: A toll free national AIDS telephone help line has been set up to provide access to information and counselling. Ref: Park 21st edition, page 399.